In Peripartum cardiomyopathy, cardiac failure occurs at:-
1. Within 7 days after delivery.
2. Within 6 weeks after delivery.
3. Within 24 months after delivery.
4. Within 5 months after delivery.

Correct answer: 4. Within 5 months after delivery.

Explanation: Diagnostic criteria for Peripartum cardiomyopathy - A) Development of cardiac failure in the last month of pregnancy or within 5 months after delivery. B) Absence of an identifiable cause for the cardiac failure. C) Absence of recognizable heart disease prior to the last month pf pregnancy D) Left ventricular systolic dysfunction demonstrated by classic echocardiographic criteria, such as depressed ejection fraction along with a dilated left ventricle